All are risk factor for vaginal candidiasis except aEUR'
1. Diabetes mellitus
2. HIV
3. Hypertension
4. Pregnancy

Correct answer: 3. Hypertension

Explanation: Hypertension Vaginal candidiasis is the. fungal infection of vagina with candida albicans. Vaginal condidiasis can be sexually transmitted or associated with sexual activity but commonly occurs in women who are not sexually active. Characteristics symptoms of vaginal condiasis is :- Itching, discomfort in vagina or vulva. Curd like vaginal dischargeQ Bright red rashes affecting inner and outer parts of vulva.